Spironolactone is most useful in?
1. Cardiac Hypertrophy
2. Cirrhotic ascites
3. Exudative pleural effusion
4. Renal artery stenosis

Correct answer: 2. Cirrhotic ascites

Explanation: Ans. (b) Cirrhotic ascitesRef: Harrison 19th ed. /286-87* Diuretics that block aldosterone receptors in the distal convoluted tubule are preferred because of the presence of hyperaldosteronism in patients with cirrhosis.* Loop diuretics may be used in combination, but are ineffective when used alone.* Spirinolactone is useful in CHF but not in hypertrophy of heart.* Spironolactone will be superseded in cardiovascular conditions (e.g., heart failure and hypertension) by the newer agents such as the structurally related compound EPLERENONE, which is also an aldosterone antagonist but is selective and lacks many of the actions and side effects of spironolactone, and as such is much more tolerable in comparison.